Rectal polyp most commonly presents as-
1. Obstruction
2. Bleeding
3. Infection
4. Changes into malignancy

Correct answer: 2. Bleeding